Aspirin is used in treatment of Myocardial Infarction:
1. It inhibits thromboxanes
2. It stimulates ProstacycLins
3. It is a vasodilator
4. Ithelps in reducing inflammatory aggregate

Correct answer: 1. It inhibits thromboxanes